Which of the following enzyme is associated with the conversion of androgen to oestrogen in a growing ovarian follicle is:
1. Aromatase
2. 5 alpha reductase
3. Desmolase
4. Isomerase

Correct answer: 1. Aromatase

Explanation: Aromatase enzyme: In a normal ovary, LH acts on the theca interstitial stromal cells, whereas FSH acts on granulosa cells. In response to LH the thecal cells secretes androgen, and the produced androsendione is converted in the granulosa cells to estrogen by the action of aromatase enzyme. Ref: Physiology By James N. Pasley 2nd Edition, Page 145 ; Androgens in health and disease By William J. Bremne Page 84 ; Pade approximation and its applications: Diagnosis and management of PCOS, Issue 765, By Luc Wuytack, Page 107